Which of the following has cyclic GMP mediated action?
1. Photochemical reactions of visual cycle
2. Steroidogenesis
3. Thyroid hormone action
4. Recruitment of glucose transporters to cell membrane

Correct answer: 1. Photochemical reactions of visual cycle

Explanation: cGMP is involved in Visual cycle Vasodilation caused by nitric oxide Activation of peptide hormones like Atrial natriuretic peptide ANP and brain-type natriuretic peptide BNP. cGMP cAMP Secondary messenger Secondary messenger (more inolved) Long term and sustained cellular response Less sustained respone Activates protein kinase G which causes phosphorylation and various other events Activate protein kinase A which causes phosphorylation